Mirizzi's syndrome is?
1. Gall bladder stone compressing common hepatic duct
2. Gall bladder carcinoma invading IVC
3. Gall bladder stone causing cholecystitis
4. Pancreatic carcinoma

Correct answer: 1. Gall bladder stone compressing common hepatic duct

Explanation: ANSWER: (A) Gall bladder stone compressing common hepatic ductREF: Bailey and love 24th ed p. 1106Mirizzi syndrome is obstruction of biliary duct leading to jaundice due to stone impacted in Hartmann's pouch or cystic duct.